Scrub typhus vector
1. Tromboculid mite
2. Louse
3. Tick
4. Reduvid bug

Correct answer: 1. Tromboculid mite

Explanation: Tromboculid mite 8"/e, p. 574 (17th /e page 543)] Mites are vectors for the following diseases: Diseases Vector Scabies Itch mite Scrub Typhus Trombiculid mite Rickettsial pox Trombiculid mite This topic has been discussed in detail earlier. Mostly they keep on asking about Ticks and mites so remember the diseases caused by Ticks too. Vector Disease Vector (a) Soft tick * Q fever, Relapsing fever (b) Hard tick * Tick typhus * Viral encephalitis * Viral fevers * Viral hemorrhagic fever (KFD) * Tuleremia * Human babesiosis, Tick paralysis